A 30 year old male patient presents with bleeding per rectum.
He complains of Hemorrhoids which are reduced spontaneously.
Treatment of choice Is
1. Open hemorroidectomy
2. Sitz bath
3. Sclerotherapy
4. Stapled hemorroidopexy

Correct answer: 3. Sclerotherapy

Explanation: 2nd degree hemorrhoids are treated by sclerotherapy which is done without anesthesia.